All of the following play a significant role in bone resorption except:
1. Parathyroid hormone.
2. Interleukin1.
3. Interleukin6.
4. Interferon-gamma.

Correct answer: 4. Interferon-gamma.

Explanation: Pro-resorptive factors are hormones and cytokines are:-

PTH (Parathyroid hormone)
1,25dihydroxyvitamin D3,
IL-1
IL-6
TNF (Tumour necrosis factor)
LIF (Leukaemia inhibitory factor)
Corticosteroids, which activate osteoblasts and stroma cells to produce RANKL and depress OPG.